Muscle supplied by lumber plexus is?
1. Obturator extemus
2. Obturator internus
3. Piriformis
4. Gastrocnemius

Correct answer: 1. Obturator extemus

Explanation: Ref - medscape.com